MIS is secreted by?
1. Sertoli cell
2. Leidig cell
3. Supporting cells
4. Semeniferous tubules

Correct answer: 1. Sertoli cell

Explanation: ANSWER: (A) Sertoli cellREF: Ganong's 22nd ed chapter 23See previous question for explanation